Maximum incidence of impotence is seen with the following anti–hypertensive agent:
1. CCBs
2. Beta blockers
3. ARBs
4. ACE inhibitors

Correct answer: 2. Beta blockers